Seal like limbs i.e. phocomelia is a specific side effect of -
1. Thalidomide
2. Cyclophosphamide
3. Doxorubicin
4. Terazocin

Correct answer: 1. Thalidomide

Explanation: Ans. is 'a' i.e., Thalidomide * Repeat from NEET Dec -16